Fetal hydrops is most commonly associated with
1. Cardiac anomalies
2. Renal anomalies
3. GI anomalies
4. Skeletal anomalies

Correct answer: 1. Cardiac anomalies

Explanation: Cardiac anomaly is the most common anatomical abnormality associated with fetal hydrops. In general, hydrops associated with a structurally abnormal heart carries a poor prognosis, as the anomaly is usually severe.